Most pathogenic species of candida is
1. C. tropicalis
2. C. krusei
3. C. albicans
4. C. Stellatoidea

Correct answer: 3. C. albicans

Explanation: C. albicans is most common and most pathogenic.